MC genetic cause of spontaneous abortion is:
1. Triplody
2. Monosomy
3. Trisomy
4. Single gene deletion

Correct answer: 3. Trisomy

Explanation: Ans. is 'c' i.e., Trisomy * Abortion occurring without medical or mechanical means to empty the uterus is referred to as spontaneous.* More than 80% of abortions occur in the first 12 weeks of pregnancy, and at least half result from chromosomal anomalies.* After the first trimester, both the abortion rate and the incidence of chromosomal anomalies decrease.* Trisomy 16 is the most common abnormal karyotype found in the abortus.* Monosomy X (45 X), the second most frequent chromosomal abnormality (after trisomy), usually results in abortion and much less frequently in live born female infants (Turner syndrome).* Trisomies have been identified in abortus for all except chromosome 1.